Hypervitaminosis A manifests as all of the following except:
1. Alopecia
2. Anorexia
3. Pseudotumor cerebri
4. Peripheral neuritis

Correct answer: 4. Peripheral neuritis

Explanation: Ans. D: Peripheral neuritis Effects of hypervitamonisis A includes: Birth defects Liver problems, Reduced bone mineral density that may result in osteoporosis Coarse bone growths Skin discoloration Hair loss Excessive skin dryness/peeling (desquamation) Signs of acute toxicity include nausea and vomiting, pseudotumor cerebri, headache, dizziness, blurred vision, and loss of muscular coordination.